Rothera's test for detection of
1. Proteins
2. Glucose
3. Fatty acid
4. Ketones

Correct answer: 4. Ketones

Explanation: Ketones

Rothera's nitroprusside - pink/purple permanganate ring test and Gerhard's - ferric chloride - red wine color tests are used for detection of ketone bodies in urine.